Which one of the following agents sensitizes the myocardium to catecholamines?
1. Ether
2. Propofol
3. Isoflurane
4. Halothane

Correct answer: 4. Halothane

Explanation: Halothane is an inhalational anaesthetic which sensitizes the myocardium to catecholamines and it produce severe ventricular arrhythmias. Other cardiovascular effects of halothane includes: 1.depression of myocardial contractility, 2.fall in blood pressure and cardiac output, and 3.predisposition to the development of re entrant tachyarrhythmias. Ref: Essentials of Medical Pharmacology By K D Tripathi, 5th Edition, Pages 339-40, 343.